Most common cause of gastric varices is
1. Splenic vein thrombosis
2. Splenectomy
3. Cirrhosis
4. Mesenteric thrombosis

Correct answer: 3. Cirrhosis

Explanation: Most common cause of gastric varices : Cirrhosis Most common cause of isolated gastric varices : Splenic vein thrombosis Ref: Sabiston 20th edition Pgno : 1232